A one year old child presented with multiple fractures seen in various stages of healing. The most probable diagnosis in this case is
1. Scurvy
2. Rickets
3. Battered baby syndrome
4. Sickle cell disease

Correct answer: 3. Battered baby syndrome

Explanation: .Battered child syndrome: A disease in which children are physically abused. The battered child syndromeis a form of child abuse. Not until the 19th century were children granted the same legal status as domesticated animals in regard to protection against cruelty and/or neglect.